When viewed occlusally, a primary mandibular second molar closely resembles which of following mandibular teeth?
1. Permanent second molar
2. Permanent first molar
3. Second premolar
4. Primary first molar

Correct answer: 2. Permanent first molar